A woman has bilateral headache that worsens with emotional stress; she has two children, both doing badly in school; diagnosis is
1. Migraine
2. Cluster headache
3. Tension headache
4. Trigeminal neuralgia

Correct answer: 3. Tension headache

Explanation: Answer is C (Tension headache): Tension type headache is a generalized headache that occurs in patients subjected to stress anxiety and depression. More so the symptomatology of cluster headache, migraine and trigeminal neuralgia is quiet distinct from that mentioned above. Tension Headache : is a chronic head pain syndrome characterised by tight band like discomfort Headaches is usually generalised may be most intense about the neck or back of the head. Patients frequently complain of poor concentration and other vague non specific symptoms May be exacerbated by emotional stress, fatigue, noise or glare. It is not associated with focal neurological symptoms.